Main MOA brimonidine in glaucoma ?
1. Decreased aqueous secretion
2. Increased trabecular outflow
3. Increased uveoscleral outflow
4. Reduce vitreous volume

Correct answer: 1. Decreased aqueous secretion

Explanation: Ans. is 'a' i.e., Decreased aqueous secretion